Pasteurization is done at-
1. 73 oC For 20 min
2. 63 oC For 30 min
3. 72 oC For 30 seconds
4. 63oC For 30 seconds

Correct answer: 2. 63 oC For 30 min

Explanation: * Pasteurization of milk, widely practiced in several countries, notably the United States, requires temperatures of about 63deg C (145deg F) maintained for 30 minutes or, alternatively, heating to a higher temperature, 72deg C (162deg F), and holding for 15 seconds (and yet higher temperatures for shorter periods of time).